Estimated mean Hemoglobin (Hb) of 100 women is 10g%. Standard deviation is 1 gm%. Standard error of estimated will be -
1. 0.001
2. 1
3. 10
4. 0.1

Correct answer: 4. 0.1

Explanation: standrad error of mean= standard deviation/[?]n =1/[?]100 =1/10 =0.1 Parks textbook of preventive and social medicine.K Park. Edition 23.Pg no: 850